Extra calories in lactating mothers in first six months -
1. 300
2. 500
3. 600
4. 1000

Correct answer: 3. 600

Explanation: - the energy requirements of women are increased during pregnancy and lactation. - additional +600 kcal daily is needed during first six months of lactation. Reference: Park's textbook of preventive and social medicine, 25th edition, pg no:693